Smt. Pushpa is a suspected case of ovarian tumors. On laparotomy bilaterally enlarged ovaries with smooth surface was seen:
1. Granulosa cell tumor
2. Krukenberg tumor
3. Dysgerminoma
4. Primary adenocarcinoma

Correct answer: 2. Krukenberg tumor

Explanation: Ans. is b, i.e. Krukenberg tumorRef: Shaw 15th/ed, p425-6; CGDT 10th/ed, p877Krukenberg tumor:* Krukenberg tumor by definition represent carcinoma of stomach metastasized to ovary. But the eponym is commonly used to denote any gastric cancer metastatic to ovary* Tumor arise by retrograde lymphatic spreadQ i.e. carcinoma cells pass from the stomach to the superior gastric lymph node which also receive lymphatics from ovary.Characteristics of Krukenberg Tumor:i. Always bilateralQii. Have smooth surfaceQiii. No tendency to form adhesionsiv. Freely mobilev. No infiltration through the capsule.vi. Histologically tumor has signet ring cells in the background of myxomatous stroma.vii. They retain the shape of normal ovary.Qviii. Have waxy consistency.Q